Which of the following is involved in the transportation of lipids from the intestine to the other tissues?
1. Chylomicrons
2. HDL
3. LDL
4. VLDL

Correct answer: 1. Chylomicrons

Explanation: Chylomicrons are found in the chyle formed by the lymphatic system draining the intestine. It is responsible for transport of all dietary lipids from intestine into the circulation. VLDL is involved in transport of triacylglycerol from liver to extrahepatic tissues. Reference: Harper's Illustrated Biochemistry 29th edition chapter 25.